The purpose of double blinding in clinical trials is to:
1. Achieve comparability between study and control groups
2. Avoid observer bias
3. Avoid subject bias
4. Avoid observer and subject bias

Correct answer: 4. Avoid observer and subject bias

Explanation: Single blind: Only patients or only investigators are ignorant of assigned treatment.
Double blind: Patients & investigators are ignorant of assigned treatment.
Triple blind: Patients, investigators & data evaluators are ignorant of assigned treatment.